Drugs causing nephrotoxicity are : a) Gentamicin b) Cloxacillin c) Phenacetin d) Erythromycin e) Doxycycline
1. ac
2. b
3. bd
4. ad

Correct answer: 1. ac